The term "balanced anaesthesia" has been given by
1. Simpson
2. Fischer
3. Lundy
4. Moan

Correct answer: 3. Lundy

Explanation: Term 'balanced anaesthesia' was introduced by Lundy in 1926Balanced anaestesiaThe cardinal feature of general anaesthetics are:-Loss of all sensations, especially painSleep (unconsciousness) and amnesiaImmobility and muscle relaxationAbolition of reflexesIn the modern practice of balanced anaesthesia these modalities are achieved by using the combination of inhaled and i.v. drugs.